More than 90% of this drug is excreted in the urine in intact form. Because its urinary solubility is low, patients should be well hydrated to prevent nephrotoxicity. The drug is :
1. Indinavir
2. Zidovudine
3. Acyclovir
4. Amantadine

Correct answer: 3. Acyclovir